The following antihelmintic acts by producing flaccid paralysis of the worm
1. Quinacrine
2. Diethylcarbamazine
3. Mebendazole
4. Piperazine

Correct answer: 4. Piperazine

Explanation: Anti-helminthic drugsAnti-helminthicMechanism of actionParasites susceptibleMebendazole Inhibits polymerization of b-tubulin of susceptible worms - live worms expelled Roundworm, Hookworm, Whipworm, Pinworm, Trichinella spiralis Pyrantel palmate Inhibits cholinesterase in worms - persistent depolarization - spastic paralysis - live worms expelledAscaris , Enterobius , Ancylostoma , Strongyloides Piperazine Hyperpolarization of muscle by GABA agonistic action - flaccid paralysis - live worms expelledAscaris , Enterobius Ivermectin Potentiates glutamate-gated Cl- channel & increases GABA transmission in worms - hyperpolarization and paralysis of worms - dead worms expelledPediculosis , Scabies , Onchocerca , Strongyloides , Ascaris , Cutaneous larva migrans Praziquantel Increased muscular contraction & spastic paralysis of worms - dead worms expelledTrematode , Cestodes Levamisole &Tetramisole Ganglionic stimulation - tonic paralysis - live worms expelledAscaris , Ancylostoma , Strongyloides Diethyl carbamazepine Hyperpolarization of muscles - live worms expelledMicrofilaria of bancrofti , malayi , loa loa , Onchocerca Niclosamide Inhibits oxidative Phosphorylation in mitochondria Cestodes